Treatment of choice for antrochoanal polyp:
1. Intranasal polypectomy
2. Caldwell-Luc operation
3. Endoscopic sinus surgery
4. Intranasal ethmoidectomy

Correct answer: 3. Endoscopic sinus surgery

Explanation: Ans. C: Endoscopic sinus surgery For the treatment of sinusitis, functional endoscopic sinus surgery (FESS) has superceded other modes, whereby normal clearance from the sinuses is restored by removing the anatomical and pathological obstructive variations that predispose to sinusitis. Caldwell-Luc operation is avoided.